The rate of lymph flow is
1. l0ml/hr
2. 20 ml/hr
3. 50 ml/hr
4. 120 ml/hr

Correct answer: 4. 120 ml/hr

Explanation: (120 ml/hr) (116-K.S) (172-Gyton 10th) (593-GN) (535- Ganong 23rd)RATE OF LYMPH FLOW - About 120 ml of lymph flows into blood per hour. Out of this, about 100 ml/hour flows through thoracic duct and 20 ml/hour flows through the right lymphatic duct* The normal 24-hour lymph flow is 2-4 L* The rate of lymph flow is determined by the product of interstitial fluid pressure times the activity of the lymphatic pump* Role of the lymphatic system in controlling interstitial fluid protein concentration, interstitial fluid volume, and interstitial fluid pressure.* Its protein content is generally lower than that of plasma, which contains about 7 g/dLFactors influencing the flow of LymphThe flow of lymph is promoted by the increases in1. Interstitial fluid pressure2. Blood capillary pressure3. Surface area of lymph capillaries by means of dilatation4. Permeability of lymph capillaries5. Functional activities of tissues